The appendicular artery is a branch of -
1. Iliocolic
2. Rt colic
3. Inferior mesenteric
4. Marginal artery

Correct answer: 1. Iliocolic

Explanation: The appendicular artery is a branch of the iliocolic artery, which in turn is a branch of the superior mesenteric artery.